Animal used to demonstrate anaphylaxis in the lab is -
1. Rabbit
2. Adult mice
3. Monkey
4. Guinea Pig

Correct answer: 4. Guinea Pig

Explanation: Anaaphylaxis in vitro : isolated tissues, such as intestinal or uterine muscle strip from sensitised guinea pig ,held in a bath of ringer's solution will contract vigorously on addition of the specific antigen to the bath. This is known as Schultz Dale phenomenon. Reference : Anathanarayan & paniker's 9th edition, pg no: 164